Desmosomes are helpful in connecting
1. Keratinocytes
2. Lichen planus
3. Pemphigus
4. Langerhans cells

Correct answer: 1. Keratinocytes

Explanation: They are the major adhesion complexes in the epidermis. Desmosomes bridge adjacent keratinocytes and allow cells to withstand trauma. Keratinocytes are created in the lower layers of the epidermis and operate with a phospholipid cell membrane, which can be quite permeable. When the keratinocytes are pushed to the stratum corneum, they are transformed into corneocytes with a more durable cell envelope. Ref: Harrison 20th edition pg 1256